Treatment therapy for Pneumocystis carinii infection is
1. Co-trimoxazole
2. Ceftriaxone
3. Ceftazidime
4. Amicacin

Correct answer: 1. Co-trimoxazole

Explanation: (Co-trimoxazole) (1362-63-CMDT-09)Infection or MalignancyTreatmentPoenumocystis carinii/ JiroveciTrimethoprim-sulfamethoxazole orally or IV for 14-21 daysPentamidine, Trimethoprim, Primaquine, Atovaquone, TrimetrexateMycobacterium avium complex infectionClarithromycin with ethambutolToxoplasmosisPyrimethamine with sulfadiazine and Folinic acidLymphomaCombination chemotherapy (eg. Modified CHOP, M-BA COD, with or withoutG-CSF or GM-CSF)Central nervous system disease: radiation treatment with dexamethasone for edemaCryptococcal meningitisAmphotericin B, with or without flucytosineFluconazoleCytomegalovirus infectionValganciclovir, Ganciclovir, FoscametEsophageal candidiasis or recurrent vaginal candidiasisFluconazoleHerpes simplexAcyclovir, Famciclovir, Valacyclovir, FoscarnetHerpes zosterAcyclovir, Famciclovir, Valacyclovir, FoscarnetKaposis sarcoma Limited cutaneous diseaseObservation, intralesional VinblastineExtensive or aggressive cutaneous diseaseSystemic chemotherapy (eg. Liposomal Doxorubicin) Alpha interferon (For patients with CD4 > 200 cells/m/L and no constitutional symptoms).Radiation (amelioration of edema)Visceral disease(eg. Pulmonary)Combination chemotherapy (e.g. Daunorubicin, Bleomycin, Vinblastin)